Females with vaginal atresia are characterized by all except
1. Lack lower portion of vagina.
2. Normal external genitalia.
3. Normal pubertal maturation.
4. Becomes apparent in 1st decade.

Correct answer: 4. Becomes apparent in 1st decade.

Explanation: Vaginal atresia doesnot become apparent until menarche.